Which of the following is the least common cause of ambiguous genitalia in a female child –
1. Fetal placental steroid sulfatase deficiency
2. Fetal placental aromatase deficiency
3. Congenital adrenal hyperplasia
4. WNT–4 gene mutation

Correct answer: 1. Fetal placental steroid sulfatase deficiency

Explanation: Placental steroid sufatase deficiency is an X-linked disorder (affects only males) that does not lead to ambiguous genitalia in a female child.
'Placental steroid suflatase deficiency is a rare X-linked disorder and all affected fetuses are males' William's 22nd/81
Congenital adrenal hyperplasia is the most common cause of ambiguous genitalia in female child.
Fetal placental aromatase deficiency and WNT-4 gene mutation cause ambiguous genitalia in female child.